Which of the following is a possible acquired etiological factor in ADHD?
1. High birth weight
2. Elevated intake of sugar-containing foods during early childhood
3. Low socioeconomic status
4. Prenatal exposure to alcohol or nicotine

Correct answer: 4. Prenatal exposure to alcohol or nicotine

Explanation: Ans. D. Prenatal exposure to alcohol or nicotineA number of acquired influences have been identified as etiologic factors in development of ADHD, including1. Pregnancy & delivery complications;2. Low birth weight (not high birth weight)3. Traumatic brain injury4. Prenatal exposure to substances, including alcohol & nicotine.Substance exposure in utero has long been implicated in childhood problems with behavioral control and emotional regulation.Prenatal exposure to alcohol and nicotine has been strongly associated with the development of ADHD, as well as other difficulties with cognition and behavior.Although these exposures to substances may often co-occur with other environmental factors that influence development, alcohol and nicotine have generally been found to independently increase the risk of ADHD.Meanwhile, low socioeconomic status does not independently increase risk of ADHD. Similarly, despite common misperception, sugar intake at any age has not been found to play role in etiology of ADHD.